Recommended illumination range satisfactory vision is ---- foot candles
1. 15-20
2. 25-50
3. 51-75
4. 76-100

Correct answer: 1. 15-20

Explanation: An illumination of 15-20 footcandles (1 foot-candle = 10.76 Lux) is accepted as a basic minimum for satisfactory vision.Park 23e pg: 739